Eye lens dislocation seen in –a) Marfan\'s syndromeb) Homocystinuriac) Down\'s syndromed) Klinefelter syndrome
1. ac
2. a
3. ab
4. bc

Correct answer: 3. ab

Explanation: Marfan syndrome and homocystinuria can cause dislocation of lens.